A 15 year old girl with type 1 diabetes is brought to emergency complaining of dizziness. Laboratory findings include severe hyperglycemia, ketoacidosis and blood pH of 7.15. To achieve rapid control of severe ketoacidosis, appropriate drug is:
1. Crystalline zinc insulin
2. NPH insulin
3. Tolbutamide
4. Ultra lente insulin

Correct answer: 1. Crystalline zinc insulin

Explanation: Diabetic ketoacidosis must be managed by insulin preparations that can be given by intravenous route. Main insulin given intravenously is Regular insulin . Complication--> Hypoglycemia.